"Hatter's shakes" are seen in poisoning with?
1. Arsenic
2. Cadmium
3. Mercury
4. Lead

Correct answer: 3. Mercury

Explanation: Ans. c (Mercury). (Ref. Parikh, FMT, 5th ed., 736)POISONINGSPoisoningFeaturesMercury# Characteristic colonic (especially ascending and transverse colon) thickening with "Diphtheric colitis like changes". Q# Glass blower's/hatter's shake (Shaking palsy). Q# Mercural erythism. Q# Acrodynia (pink disease). Q# Minimota disease. Q# Maternal intake results cerebral palsy in the baby.# Chelating agent of choice is BAL. Q# It acts on PCT and is nephrotoxic like all heavy metals. QArsenic# Most popular homicidal poison Q# Marsh and Reinsh test Q# Mee's lines Q# Hyperkeratosis of palms and soles# Cholera like diarrhea Q.# Measles like fading, rain drop pigmentation Q# Poison mostly excreted in hair, also in nails, bones # Red velvetty gastric mucosa# Subendothelial peticheal hemorrhage of ventricles# Acute yellow fatty liver Q# ANTIDOTE: precipitated hydrated Ferrous oxideLead# Burtonian lines (Blue lines on gums) Q# Encephalopathy in adults but rare in children# Lead palsy common in adults (rare in children)# Facial pallor is earliest and most consistent sign Q# Punctate basophilia of RBCs Q# Sclerotic metaphyseal bands QZinc# General: Reduced copper absorption, gastritis, sweating, fever, nausea, vomiting.# Occupational: Respiratory distress, pulmonary fibrosis Q# Metal fume fever. Q